In the court of law, professional secrecy can be divulged under:
1. Doctrine of Common Knowledge
2. Privileged communications
3. Res ipsa loquitor
4. Therapeutic privilege

Correct answer: 2. Privileged communications

Explanation: Ans. Privileged communications